Treatment of increased ICT are
1. Loop diuretics
2. Mannitol
3. Ventriculostomy catheter
4. All

Correct answer: 4. All

Explanation: *Stepwise approach -drain CSF ventriculostomy -elevate head of bed -osmotherapy with mannitol25-100g q4h as needed -furosemide is combined with mannitol to improve it's efficacy -glucocorticoids -sedation -hyperventilation -pressor therapy . Ref Harrison20th edition pg 208,1127_1129,1128b